Which of the following is not true regarding fungal corneal ulcer.
1. Microbiological confirmation to be done before starting anti fungal treatment
2. Immuno suppressant and patients on chronic steroids therapy are more vulnerable
3. Aspergillus and Fusarium are common organisms causing ulcer
4. Symptoms are more than signs in the patient

Correct answer: 4. Symptoms are more than signs in the patient

Explanation: Signs are more important than symptoms in fungal corneal ulcer. Fungal Corneal Ulcer Clinical Scenario: Young male presenting with discharge & associated with trauma to eye with animal tail & vegetable matter. H/o immuno suppression. Most common fungal infection in India - Aspergillus fumigatus & Fusarium Clinical Features:Symptoms is less than signs of disease Treatment No steroids Microbiologically confirm before starting the treatment Supportive treatment with cycloplegics